Pseudoproptosis is a feature of:
1. Buphthalmos
2. High axial myopia
3. Upper lid retraction
4. All of the above

Correct answer: 4. All of the above

Explanation: Ans. All of the above